Which of the following local anesthetic should not be mixed with adrenaline
1. Lignocaine
2. Bupivacaine
3. Mepivacaine
4. Cocaine

Correct answer: 4. Cocaine

Explanation: Cocaine is a vaso constrictor by itself and hence should be avoided along with adrenaline.